Enzyme raised in obstructive jaundice is -
1. ALT
2. AST
3. Alkaline phosphatase
4. LDH

Correct answer: 3. Alkaline phosphatase

Explanation: Features of obstructive jaundice include:high serum alkaline phosphatase Harsh mohan page 599 AST and ALT are raised in case of liver cell injury (Harsh mohan table 21.1)